Naloxone for opioid receptor acts as:
1. Pure agonist
2. Pure antagonist
3. Partial agonist
4. Agonist antagonist

Correct answer: 2. Pure antagonist

Explanation: Naloxone is a pure antagonist and is preferred over older weak agonist-antagonist agents that had been used primarily as antagonists, eg, nalorphine and levallorphan. Ref: Katzung, 11th edition, Chapter 31.